Internal arcuate fibres of medulla comes from
1. Hypoglossal nucleus
2. Dorsal nucleus of vagus
3. Nucleus tractus solitarius
4. Nucleus gracilis and cuneatus

Correct answer: 4. Nucleus gracilis and cuneatus